Which of the following is not associated with choledocholithiasis?
1. Increased levels of ALP
2. Dyspepsia
3. Murphy's sign
4. Increased risk of pancreatitis

Correct answer: 3. Murphy's sign

Explanation: CBD stone (aka choledocholithiasis)- Present in 6 - 12% patients of gall stones C/F of choledocholithiasis: Asymptomatic, dyspepsia Biliary colic Jaundice with or without complications Complications: | risk of infection | risk of pancreatitis | risk of cholangiocarcinoma Murphy's sign/Naunyn's sign: Seen in acute cholecystitis Due to inflammation of the wall of gall bladder When right 9th coastal cartilage is pressed, there is sudden catch in inspiration.